Propranolol is C/I in a patient of angina who is already receiving
1. Nifedipine
2. Aspirin
3. Verapamil
4. Isosorbide mononitrate

Correct answer: 3. Verapamil

Explanation: propranolol is a beta blocker and verapamil is a calcium channel blocker both given in combination can cause decrease in heart rate drastically hence contraindicated. Ref: KD Tripathi 8th ed.